Diuretic used in mountain sickness?
1. Hydrochorthiazide
2. Furesemide
3. Acetazolamide
4. Spironolactone

Correct answer: 3. Acetazolamide

Explanation: ACTIONS OF ACETAZOLAMIDE: i) Lowering of intraocular tension due to decreased formation of aqueous humor (it is rich in HC03). 2) Raised level of C02 in the brain and lowering of pH - sedation and elevation of seizure threshold. 3) Alteration of C02 transport in lungs and tissues: - used in high altitude or mountain sickness ( Essentials of Medical Pharmacology, K.D Tripathi,6th edition )